Delayed onset PTSD is diagnosed if symptoms appear after ________ months.
1. 1 months
2. 3 months
3. 6 months
4. 1 year

Correct answer: 3. 6 months